Tsutsugamushi causes:
1. Epidemic typhus
2. Endemic typhus
3. Scrub typhus
4. Q fever

Correct answer: 3. Scrub typhus

Explanation: Orientia tsutsugamushi causes scrub typhus where vector is trombiculid mite. Human disease caused by the Rickettsia and Orientia species Group Species Disease Vector Veebrate reservoir Distribution Typhus R. prowazekii " R. typhi R. felis Epidemic typhus Brill-zinsser disease Endemic typhus " Louse " Rat flea Cat flea Human beings Human beings Rat Opossum Worldwide America, Europe, Australia Worldwide USA Spotted fever group R. rickettsii R. siberica R. conori " " " R. australis R. japonica R. akari Rocky Mountain spotted fever Siberian trick typhus Fever Boutonneuse South African tick typhus Kenyan tick typhus Indian tick typhus Queensland tick typhus Oriental spotter fever Ricketssial Pox Tick " " " " " " " Gamasid mite Rabbit, dog Small rodents Wild animals, cattle Dog, rodents " Rodents ? Rodents Bush rodents ? Mouse North America Russia, Mongolia Mediterranean South Africa Kenya India N Australia Japan USA, Russia Scrub typhus O. tsutsugamushi Scrub typhus Trombiculid mite Small rodents, birds East Asia, Pacific Islands, Australia